All are Bcell markers except
1. CD 15
2. CD 19
3. CD 21
4. CD 23

Correct answer: 1. CD 15